H-file is used to
1. Locate the canal orifice
2. Flare the root canal
3. For irrigation of root canal
4. All of the above

Correct answer: 2. Flare the root canal